Not an ECG finding of hypokalemia:
1. Absent T waves
2. ST elevation
3. Flat T waves
4. Prominent U wave

Correct answer: 2. ST elevation

Explanation: Ans. B: ST elevation